Erythrasma is caused by-
1. Corynebacterium minutissimum
2. Diphtheriae
3. C. ulcerans
4. C. Vaginale

Correct answer: 1. Corynebacterium minutissimum

Explanation: Ans. is 'a' i.e., Corynebacterium minutissimum * Erythrasma, a localized infection of the stratum corneum usually affecting the axilla and groin, is caused by C. minutissimum.